Preganglionic supply to the submandibular gland is
1. Otic ganglion
2. Geniculate ganglion
3. Superior salivary nucleus
4. Inferior salivary nucleus

Correct answer: 3. Superior salivary nucleus

Explanation: The sensory root is from the lingual nerve. It is suspended by two roots of lingual nerve.The sympathetic root is from the sympathetic plexus around the facial artery. This plexus contains postganglionic fibers from the superior cervical ganglion of the sympathetic trunk. These fibers pass express through the ganglion and are vasomotor to the submandibular glandThe secretomotor root is from superior salivatory nucleus through nervous intermedius chords tympani which is a branch of cranial nerve VII. Chorda tympani joins lingual nerve. The parasympathetic fibers get relayed in the submandibular ganglion.Ref: BD Chaurasia; volume 3; 6th edition; Page no: 308